Chlorine demand of water determined by -
1. Horrocks apparatus
2. Chloronometre
3. Berkefield filter
4. Doble Pot

Correct answer: 1. Horrocks apparatus

Explanation: Horrock 's water testing apparatus is designed to find out the dose of bleaching powder required for disinfection of water Contents 6 white cups One black cup with a circular mark inside 2 metal spoons 7 glass stirring rods One special pipette Two droppers Starch-iodine indicator solution Instruction folder (refer pgno:729 park 23rd edition)